A ten year old child with aggressive behavior and poor concentration is brought with presenting complaints of joint pain and reduced urinary output. Mother gives history of self mutilitative behavior stating that he tends to mutilate his fingers. Which of the following enzymes is likely to be deficient in this child
1. HGPRT
2. Adenosine Deaminase
3. Galactokinase
4. Acid Maltase

Correct answer: 1. HGPRT

Explanation: HGPRT